snRNA which is not the part of spliceosome:
1. U1
2. U2
3. U3
4. U4

Correct answer: 3. U3

Explanation: snRNA- small nuclear RNA - U1, U2, U4, U5 and U6 are involved. They remove introns by forming base pairs with the consensus sequences at each end of the intron.